The average B.P. of a 1 year old child is –
1. 120/80
2. 75150
3. 95/50
4. 60/30

Correct answer: 3. 95/50